The most common virus causing acute coryza is?
1. Arena virus
2. Rhino virus
3. RSV
4. Influenza virus

Correct answer: 2. Rhino virus

Explanation: The common cold is the most common illness in humans Rhinovirus ( most commonly), Influenza, Parainfluenza, Coronavirus, Respiratory syncytial virus etc all lead to the common cold. (Ref: Cummings, 6th edition, Pg no. 725 )